Bragg peak effect is most noticable in ?
1. X ray
2. Proton
3. Neutron
4. Electron

Correct answer: 2. Proton

Explanation: Bragg peak effect Pronounced for protons Proton therapy targets tumors inside the body, spares the healthy cells Bragg curve - it plots the energy loss of ionizing radiation during its travel through matter